Oxygen Hb dissociation curve: Inulin clearance closely resembles:
1. GFR
2. Renal plasma flow
3. Creatinine clearance
4. PAH clearance

Correct answer: 1. GFR

Explanation: GFR